Multiple air fluid levels in child are seen in -
1. Gastric obstruction
2. Ileal obstruction
3. Duodena] obstruction
4. Esophageal atresia

Correct answer: 2. Ileal obstruction

Explanation: Ans. is 'b' i.e., Ileal obstruction o Bubble sign requires specific mention. Bubble sign is produced by distended part of GIT with air fluid level proximal to the obstruction : -In pyloric stenosis :-Only stomach is proximal to obstruction (pyloric region) and it becomes dilated with air fluid level - Single bubble sign.Duodenal atresia Stomach and duodenal cap are proximal to obstruction - Double-bubble sign (Two air fluid levels).In jejunal atresia : - Stomach, duodenal cap and duodenal loop are proximal to obstruction - Three air fluid levels, i.e., Tripple bubble sign.In ileal atresia Multiple air-fluid levels, (multiple bubble sign) are produced.